What isaccumulated in Gaucher's disease:
1. Cerebroside
2. Glucocerebroside
3. Alpha galactoside
4. Noneof the above

Correct answer: 2. Glucocerebroside

Explanation: Glucocerebroside